In an adult man weighing 70kgs, the extracellular fluid volume will be about
1. 42L
2. 25L
3. 14L
4. 12L

Correct answer: 3. 14L

Explanation: Body water varies from 45-75% of body weight. The intracellular component of body water accounts for about 40% of body weight and the extracellular component constitute 20% of body weight. Hence 20% of 70 equals to 14L approximately. (REF TEXTBOOK OF MEDICAL P G N 2 EDITION, PAGE NO 61)